With which of the following types of viral hepatitis infection in pregnancy, the maternal mortality is the highest?
1. Hepatitis-A
2. Hepatitis-B
3. Hepatitis-C
4. Hepatitis-E

Correct answer: 4. Hepatitis-E

Explanation: Viral hepatitis is the most common cause of jaundice in pregnancy Viral hepatitis in pregnancy by Hep E is associated with the most fulminant course Pregnant women with hepatitis E infection exhibit markedly increased fatality rates: 10-20 %.